The primary motor area for shivering is
1. Cerebrum
2. Red nucleus
3. Ventromedial anterior hypothalamus
4. Dorsomedial posterior hypothalamus

Correct answer: 4. Dorsomedial posterior hypothalamus

Explanation: Functions of Hypothalamus
-        Thermoregulation- Preoptic region

Anterior hypothalamus- Heat response​
Posterior hypothalamus- Cold response

-        Satiety centre- ventromedial nucleus
-        Feeding centre- Lateral nucleus
-        Circadian rhythm- Suprachiasmatic nucleus
-        Sleep
-        Sex drive-  Anterior hypothalamus, Posterior hypothalamus.
-        Hypophysis regulation